Most common site of Actinomycosis among the following
1. Rib
2. Tibia
3. Femur
4. Mandible

Correct answer: 4. Mandible

Explanation: Mandibular Actinomyces is a uncommon disease caused by Actinomyces israelli CERVICOFACIAL ACTINOMYCOSIS This is the most common and recognized presentation of the disease. Actinomyces species are commonly present in high concentrations in nsillar crypts and gingivodental . Many patients have a history of poor dentition, oral surgery or dental procedures. or trauma to the oral cavity. Chronic tonsillitis. mastoiditis. and otitis are also important risk factors for actinomycosis. ref : maheswari 9th ed